Reactionary hemorrhage occurs:
1. After 24 hours
2. After 48 hours
3. Within 24 hours
4. After 7 days

Correct answer: 3. Within 24 hours

Explanation: Ans. (c) Within 24 hours(Ref Bailey 26/e p19-20)Types of hemorrhage after surgery:PrimaryReactionarySecondaryImmediately after surgeryWithin 24 hours7-14 dasImmediate injuryto vesselDislodgement of clot by resuscitation,Slippage of knotSloughing of blood vessel due to infection, pressure necrosis